A 77-year-old Asian woman mentions that she always develops skin abscesses and oral ulcers following minor trauma. What is the most likely diagnosis?
1. Pyoderma Gangrenosum
2. Behcet disease
3. Darrier's disease
4. Bullous pemphigoid

Correct answer: 2. Behcet disease

Explanation: Option A: Pyoderma gangrenosum skin lesion encounter in inflammatory bowel disease on shin of patient (ulcer on shin of patient). Option B: Behcet disease Oro-oculo genital syndrome Common in central Asian Recurrent crops of aphthous ulcer (painful) involving vulva & oral cavity. Uveitis (Hypopyon) Pathergy phenomenon= Sterile abscess Rx: Topical Steroids= for lesion in vulva/ oral cavity CNS/ocular=Systemic steroids